Most common source of hemorrhage during Tonsillectomy
1. Injury to external palatine vein
2. Injury to tonsillar branch of facial artery
3. Injury to tonsillar branch of Ascending pharyngeal artery
4. Injury to tonsillar branch of Lingual artery

Correct answer: 1. Injury to external palatine vein

Explanation: M/c cause of hemorrhage during tonsillectomy is external palatine vein / paratonsillar vein.
M/c cause of hemorrhage of arterial origin during tonsillectomy is tonsillar branch of facial artery.